Spinal cord is opened from the -
1. Frontal approach
2. Back side
3. Lateral side
4. None of the above

Correct answer: 2. Back side

Explanation: Autopsy of spinal cord can be done either from posterior (most common) or anterior approach. High cervical spine injuries are best seen by posterior, and thoracic spine by anterior approach.